Which of the following is NOT a cause for polyuria?
1. Excess fluid intake
2. Hyperglycemia
3. Hypokalemia
4. Hypocalcaemia

Correct answer: 4. Hypocalcaemia

Explanation: Polyuria results from two potential mechanism:

Excretion of nonabsorbable solutes (such as glucose).
Excretion of water (usually from defect in ADH production or renal responsiveness).

The functional effects of hypokalemia on the kidney can include Na+-Cl- and HCO3- retention, polyuria, phosphaturia, hypocitraturia, and an activation of renal ammoniagenesis.
Hypercalcemia  can  also  cause  polyuria  and  nephrogenic DI. Hypercalcemia decreases renal concentrating ability, which may cause polyuria and polydipsia.
Hyperglycemia and frequent urinary intake are other causes of polyuria.
Ref: Harrisson’s Internal Medicine Ed 19th Pg 294